Which among the following is not a SERM ?
1. Flutamide
2. Ormeloxifene
3. Tamoxifen
4. Raloxifene

Correct answer: 1. Flutamide